Effect of tamoxifen:-
1. Increased risk of endometrial carcinoma
2. Decreased risk of ovarian CA
3. Causes cardiotoxicity
4. Increased risk of osteoporosis

Correct answer: 1. Increased risk of endometrial carcinoma

Explanation: Effects of tamoxifen Tamoxifen is an S.E.R.M (selective estrogen receptor modulator) Increase risk of endometrial cancer Decrease risk of osteoporosis Useful in breast cancer Menopausal symptoms like hot flushes